Renal pathology in SLE includes all EXCEPT -
1. Focal glomerulonephritis
2. Diffuse glomerulonephritis
3. Membranous glomerulonephritis
4. Lipoid nephrosis

Correct answer: 4. Lipoid nephrosis

Explanation: Harshmohan textbook of pathology 7th edition. renal lesions in SLE, there are 6 classes. 1. Class1: minimal disease lupus nephritis. 2. Class2: mesangial proliferative lupus nephritis. 3. Class3: focal lupus nephritis 4. Class4: diffuse lupus nephritis 5. Class5: membraneous lupus nephritis 6. Class6: Advanced sclerotic lupus nephritis .